Passive transfer of solvent occurs in:
1. Osmosis
2. Diffusion
3. Pinocytosis
4. All of the above

Correct answer: 1. Osmosis

Explanation: The diffusion of solvent molecules into a region in which there is a higher concentration of a solute to which the membrane is impermeable--is called osmosis Diffusion: net flux of solute particles from areas of high concentration to areas of low concentration. Pinocytosis is an active process (cell drinking)